Which among the following diagnostic technique is confirmatory for Lymphangiosarcoma
1. Lymphangiography
2. Ultrasonography
3. Skin biopsy
4. Lymphoscintigraphy

Correct answer: 3. Skin biopsy

Explanation: Skin or nodule biopsy is confirmative for diagnosis of Lymphangiosarcoma.